A patient of infertility , treated with ovulation induction and Inj HCG for ovulation. After 5 days, she comes to OPD with complaints of abdominal distension with pain , nausea, vomiting. USG reveals subclinical ascites. Next step in management is?
1. Outpatient management with limited activity, daily weight record and fluid balance
2. Hospitalise, input output charting and iv fluid administration
3. Hospitalise, albumin infusion, input/ output charting
4. Paracentesis

Correct answer: 1. Outpatient management with limited activity, daily weight record and fluid balance

Explanation: Patient has history of infertility treatment with clomiphene and HCG and has symptoms after 5 days of hcg, she is a case of ovarian hyperstimulation syndrome Management of OHSS . Here outpatient management is appropriate, as she has mild OHSS, the patient should be instructed to limit her activity, to weigh herself daily, and to monitor her fluid intake (at least 1 L/day of mostly electrolyte-balanced fluid) and output Indications for hospitalization include a more severe grade of OHSS with Inability to tolerate oral hydration hemodynamic instability respiratory compromise tense ascites hemoconcentration leukocytosis hyponatremia,hyperkalemia abnormal renal or liver function decreased oxygen saturation